True about Trichomonas vaginalis:a) Flagellated parasiteb) Fungal infectionc) Curdy white discharged) Prurituse) Sexually transmitted
1. acd
2. bde
3. abd
4. ade

Correct answer: 4. ade

Explanation: As discussed in the preceding text – strawberry vagina or angry looking vagina is seen in Trichomonas vaginitis.
Trichomonas vaginalis
• Is a flagellated protozoa which leads to trichomonas vaginitis.
• Patients complain of profuse frothy creamy/Slightly greenish discharge and pruritis
O/E = Multiple small punctate strawberry spots are seen on vaginal walls and portio vaginalis of cervix called as strawberry vagina.